Histopathology showing large cells with plant like apperance with perinuclear halo is seen in which type of renal cell carcinoma ?
1. Onchocytoma
2. Granular cell carcinoma
3. Angiosarcoma
4. Chromophobic

Correct answer: 4. Chromophobic

Explanation: Ans. is 'd' i.e., ChromophobicHistopathological findings of perinuclear halo and plant cell appearance are seen in chromophobe cell carcinoma ofRCC.o Electron microscopic finding consisting of numerous 150-300 nm microvesicles is the single most distinctive and defining feature of chromophobe cell ca.